Women presented with on and off headache. On lateral x-ray suprasellar calcifications are seen and she has heteronymous hemianopia. Diagnosis;
1. Craniopharyngioma
2. Pituitary macroadenoma
3. Astrocytoma
4. None

Correct answer: 1. Craniopharyngioma

Explanation: Craniopharyngioma: MC benign tumor in childhood These are rare, usually suprasellar, partially calcified, solid / mixed solid-cystic, benign tumors arising from remnants of Rathke's pouch. C/F: Headaches visual impairment - Bitemporal heteronymous hemianopia Impaired growth Hypopituitarism; Central DI polyuria/polydipsia Rx: surgery/ radiotherapy/ their combination.